A nerve of 12 micrometer has a conduction velocity of 70ms, what will be the conduction velocity for a nerve of 10 micrometer:
1. 60
2. 70
3. 80
4. 90

Correct answer: 1. 60

Explanation: Greater the diameter of a given nerve fibre greater is the speed of conduction. Thus a nerve fiber of diameter 10 micrometer will have a conduction speed less than that of a 12 micrometer nerve. So 60 will be the right answer. Ref: Ganong's review of medical physiology, 21st Edition, page 60.